Which of the following is endemic mycosis?
1. Candidiasis
2. Blastomycosis
3. Cryptococcosis
4. None of the above

Correct answer: 2. Blastomycosis

Explanation: Ans. is 'b' i.e., Blastomycosis(Ref: Jawetz, 22th/e, p. 636)Endemic mycosis are Coccidioidomycosis, Paracoccidioidomycosis, Histoplasmosis and Blastomycosis.